Anaesthetic agent causing analgesia
1. Ketamine
2. Propofol
3. Etomidate
4. Thiopentone

Correct answer: 1. Ketamine

Explanation: "Ketamine is different from most other anaesthetic induction agents inthat it has significant analgesic action"(Refer: stoelting's pharmacology and physiology in anaesthetic practice, 5th edition, pg no.294)